Hypertrophy of the sebaceous glands in the nasal skin is called
1. Rhinodporidiosis
2. Rhinophyma
3. Rhinolith
4. Rhinorrhoea

Correct answer: 2. Rhinophyma

Explanation: o Rhinophyma is large, bulb-shaped, red-colored (ruddy) nose.
It is a slow growing benign tumor due to hypertrophy of the sebaceous glands. o Has been explained in previous sessions